Most important in causing coronary artery disease (CAD) is
1. HDL
2. LDL
3. VLDL
4. Triglycerides

Correct answer: 2. LDL

Explanation: B i.e. LDL